All of the following are cariogenic substances except:
1. Selenium.
2. Vanadium.
3. Lead.
4. Magnesium.

Correct answer: 2. Vanadium.